Not true about propagated epidemics
1. Herd immunity present
2. Sharp rise and decrease sharply
3. Person to person transmission
4. Multiple waves of epidemic

Correct answer: 2. Sharp rise and decrease sharply